A 27-year-old woman occasionally uses calcium carbonate (Turns) for "heartburn" symptoms after a large meal.For the above patient with an acid-peptic disorder, select the mechanism of action of the prescribed medication.
1. neutralizes gastric acid
2. works by binding to cysteine
3. inhibits gastrin release
4. irreversible H1-receptor blockade

Correct answer: 1. neutralizes gastric acid

Explanation: Although doctors seldom prescribe antacids because of the availability of superior medications, patients still use them extensively. As well as neutralizing acid, calcium carbonate enhances secretion in the stomach. The release of CO2 from bicarbonate can result in belching, nausea, and abdominal distension. Belching can exacerbate gastroesophageal reflex.